Surfactant is secreted by:
1. Pnemocyte I
2. Pnemocyte II
3. Goblet cells
4. Pulmonary vessels

Correct answer: 2. Pnemocyte II